Not seen in primary pulmonary hypertension-
1. Left parasternal heave
2. Right parasternal heave
3. Single S2
4. Pulmonary ejection click

Correct answer: 2. Right parasternal heave

Explanation: Primary pulmonary hypertension (PPH) is a rare but important disease that affects young people, predominantly women, aged between 20 and 30 years. Familial disease is rarer still, but is known to be associated with mutations in the gene encoding type II bone morphogenetic protein receptor (BMPR2), a member of the TGF-bsuperfamily. Mutations in this gene have been identified in some patients with sporadic pulmonary hypertension. Pathological features include hypertrophy of both the media and intima of the vessel wall, and a clonal expansion of endothelial cells which take the appearance of plexiform lesions. There is marked narrowing of the vessel lumen and this together with the frequently observed in situ thrombosis leads to an increase in pulmonary vascular resistance and pulmonary hypertension.pulmonary ejection click,single s2,as well as left parasternal heave are the other associated findings. ref:davidson's principles and practice of medicine,ed 21,pg no 550